Cholesterol concentration is maximum in
1. HDL
2. Chylomicron
3. VLDL
4. LDL

Correct answer: 4. LDL

Explanation: Ref: DM Vasudevan - Textbook of Biochemistry, 6th edition, page no: 151